All are TRUE about Antineutrophil Cytoplasmic Antibodies, EXCEPT:
1. Proteinase-3, in neutrophil azurophilic granules, is the major cANCA antigen
2. The major target for pANCA is the enzyme myeloperoxidase
3. A pANCA pattern of staining has been associated with nonvasculitic entities such as rheumatic and nonrheumatic autoimmune diseases
4. There are three major categories of ANCA

Correct answer: 4. There are three major categories of ANCA

Explanation: There are two major categories of ANCA. Other statements are true. Ref: Harrisons Principles of Internal Medicine, 18th Edition, Page 2786